Varicella zoster remains latent in:
1. Lymphocytes
2. Monocytes
3. Trigeminal ganglion
4. Plasma cells

Correct answer: 3. Trigeminal ganglion

Explanation: Ans. is 'c' i.e., Trigeminal ganglion (Ref: Ananthanarayan, 9th/e, p. 472 and 8th/e, p. 473)* Trigeminal ganglion is involved in herpes zoster ophthalmic us and follows Hutchinson rule and dermatomal involvement is present (T3 - L3).